What is defined as recovery index of the neuromuscular blocker (NMB):-
1. It is time interval between 25% and 75% twitch height of the NMB
2. It is time interval between 25% and 50% twitch height of the NMB
3. It is time interval between 50% and 75% twitch height of the NMB
4. It is time interval to reach 100% of twitch height of the NMB

Correct answer: 1. It is time interval between 25% and 75% twitch height of the NMB

Explanation: Duration of action is the time from injection of the neuromuscular blocking agent to return of 25% twitch height. Recovery index is the time interval between 25% and 75% twitch height.